All of the following agents decreases bone resorption in osteoporosis, Except -
1. Alendronate
2. Etidronate
3. Strontium
4. Teriparatide

Correct answer: 4. Teriparatide

Explanation: A drug used in osteoporosis

Inhibit resorption: - Bisphosphonates, denosumab, cinacalcet, calcitonin, estrogen, SERMS, gallium nitrate.
Stimulateformation : -Teriparatide, calcium, calcitrial, fluorides,.
Both actions : - Strontium, renelate.


Drugs decreasing bone resorption initially increase bone mineral density (BMI), but it reaches a plateau in 2-3 yrs because bone formation also decreases.
On the other hand, drugs promoting bone formation can increase BMD through the period of treatment.